Ankylostoma duodenale commanly lives in:
1. Upper 1/3rd of duodenum
2. Lower 1/3rd of duodenum
3. Jejunum
4. Ileum

Correct answer: 3. Jejunum

Explanation: Ans. c. Jejunum